All the following hepatitis viruses are transmitted by parenteral route except-
1. Hepatitis B virus
2. Hepatitis C virus
3. Hepatitis D virus
4. Hepatitis E virus

Correct answer: 4. Hepatitis E virus